All are Splenic percussion techniques, EXCEPT:
1. Castel's method
2. Nixon's method
3. Barkun method
4. Nocolski's method

Correct answer: 4. Nocolski's method

Explanation: Percussion for splenic dullness is accomplished with any of three techniques described by Nixon, Castell or Barkun. Ref: Harisson, Edition - 18, Page - 468